Browne's tube is used for -
1. Steam sterilization
2. Radiation
3. Chemical sterilization
4. Filtration

Correct answer: 1. Steam sterilization

Explanation: Brown's tube is the most commonly used chemical indicator of moist heat sterilization in the autoclave. It contains red solution that turns green when exposed to temperature of 121degC for 15 minutes in an autoclave.